Ketamine is safe in
1. Raised ICT
2. Open eye injury
3. Ischemic heart disease
4. Severe shock

Correct answer: 4. Severe shock

Explanation: D i.e. Severe Shock